False regarding Agoraphobia is
1. Commonest type of phobia
2. Woman outnumber men in western countries
3. Shy bladder is seen
4. Fear of places

Correct answer: 3. Shy bladder is seen

Explanation: (C) Shy bladder is seen # Agoraphobia:This is an example of irrational fear of situations. It is the commonest type of phobia encountered in clinical practice.> Women out number men in suffering from agoraphobia in the western countries.> It is characterized by an irrational fear of being in places away from the familiar setting of home.> Although it is earlier thought to be a fear of open spaces, public places, crowed places, any other place from where there s no easy escape to a safe place.# Social Phobia: Examples are fear of blushing (erythophobia), eating, public speaking, public performance (e.g. on stage), participating in groups, writing in public (e.g. signing a check), speaking to strangers (e.g. for asking for directions), dating, speaking to authority figures, and urinating in a public lavatory (shy bladder).